Large cells with plant like appearance with perinuclear halo is seen in which type of renal cell carcinoma?
1. Granular cell carcinoma
2. Angiosarcoma
3. Chromophobic
4. Clear cell carcinoma

Correct answer: 3. Chromophobic

Explanation: Ans. is 'c' i.e., Chromophobic Types of renal cell carcinoma* Important histological types of renal-cell carcinoma are1) Clear cell carcinoma* It is the most common type of renal cancer accounting for about 70% to 80% of the renal cell cancer. They are so named because they are made up to cells with clear or granular cytoplasm and are nonpapillary. They occur as solitary unilateral lesions. It arises from proximal tubular epithelium.2) Papillary Carcinoma* It accounts for 10% to 15% of renal cancers. It is characterized by papillary growth pattern. It arises from distal convoluted tubule. It can be multifocal and bilateral. These are most common type of renal cancer in patients who develop dialysis associated cystic disease. Papillary carcinoma also occurs in two forms hereditary and sporadic.3) Chromophobe (oncocytic) renal cell carcinoma* These tumors arise from intercalated cells of 'cortical' collecting ducts. The cells have pale eosinophilic cytoplasm with perinuclear halo with a plant cell appearance. Electron microscopic finding consisting of numerous 150-300 nm microvesicles is the single most distinctive and defining feature of chromophobe cell carcinoma.4) Collecting duct (Bellini duct) carcinoma* It is the least common type of RCC. It arises from 'medullary' collecting duct. Cells have prominent fibrotic stroma.